Which of the following is an indication of indirect pulp
capping?
1. Lingering sensitivity to hot and cold
2. Throbbing of the affected teeth after thermal stimulation
3. No history of spontaneous pain
4. Sensitivity to percussion

Correct answer: 3. No history of spontaneous pain